Most common congenital anomaly of larynx:
1. Laryngeal web
2. Laryngomalacia
3. Laryngeal stenosis
4. Vocal cord palsy

Correct answer: 2. Laryngomalacia

Explanation: (b) Laryngomalacia(Ref. Current Diagnosis & Treatment Otolaryngology, Lalwani, 3rd ed., 480; Scott Brown, 8th ed., Vol 2; 333)Most common congenital anomaly of larynx is laryngomalacia followed by vocal cord palsy and laryngeal stenosis (subglottic stenosis).